Which of the following statement is false regarding mitochondria?
1. Guanine rich strand is referred to as the heavy strand
2. Each DNA molecule consists of 15,000-17,000 base pairs
3. Single stranded straight DNA
4. Transmitted by maternal nonmendelian inheritance

Correct answer: 3. Single stranded straight DNA

Explanation: In mammals, each small circular, double-stranded mitochondrial (mt) DNA molecule consists of 15,000-17,000 base pairs.The two strands of mtDNA are differentiated by their nucleotide content with the guanine rich strand referred to as the heavy strand and the cytosine rich strand referred to as the light strand.A mitochondrion contains outer and inner membranes composed of phospholipid bilayers and proteins. The two membranes, however, have different properties. Because of this double-membraned organization, there are five distinct compartments within the mitochondrion.There is the outer mitochondrial membrane, the intermembrane space (the space between the outer and inner membranes), the inner mitochondrial membrane, the crista space (formed by infoldings of the inner membrane), and the matrixAn important feature of human mitochondrial mtDNA is that-because all mitochondria are contributed by the ovum during zygote formation-it is transmitted by maternal nonmendelian inheritance.